Which type of motor unit is of prime importance in generating the muscle power necessary for the maintenance of posture?
1. Low threshold, fatigue-resistant
2. High threshold, fatigable
3. Intrafusal, gamma controlled
4. High threshold, high force

Correct answer: 1. Low threshold, fatigue-resistant

Explanation: The low threshold for activation, fatigue-resistant motor units are the type active in postural control. Intrafusal muscle fibers do not contribute to force generation.